The pain around the hip with flexion, adduction & internal rotation of lower limb in a young adult after a road traffic accident is suggestive of
1. Intracapsular fracture of the femoral neck
2. Extracapsular fracture of the femoral neck
3. Posterior dislocation of hip
4. Anterior dislocation of hip

Correct answer: 3. Posterior dislocation of hip

Explanation: REF : MAHESWARI 9TH ED